All are true regarding Menetrier's disease, except-
1. Protein loss
2. Exophytic growth
3. Hypertrophy of gastric mucosa
4. Premalignant condition

Correct answer: 2. Exophytic growth